Japanese B encephalitis is transmitted by
1. Aedes
2. Anopheles
3. Culex
4. All of the above

Correct answer: 3. Culex

Explanation: (C) Culex TAXONOMY OF SOME IMPORTANT ARBOVIRUSESFamilyGenusImportant speciesTogaviridaeAlphavirusChikungunya, O'nyong-nyong, Mayaro, Semliki Forest Sindbis, Ross River, Eastern, Western and Venezuelan equine encephalitis virusesFlaviviridaeFlavivirusJapanese encephalitis, Murray Valley encephalitis, WestNile, llheus, St. Louis encephalitis, Yellow Fever, Dengue types 1, 2, 3,4, Russian Spring Summer encephalitis complex, Louping ill, Powassan, Kyasanur Forest Disease. Omsk hemorrhagic feverBunyaviridaeBunyavirusPhlebovirusCalifornia encephalitis, Oropouche, TurlockSandfly fever viruses, Rift valley fever virusNairovirusCrimeanHantavirusCongo hemorrhagic fever viruses, Nairobi sheep disease virus, Ganjam virusHantan, Seoul, Puumala, Prospect Hill, Sin Nombre virusesReoviridaeOrbivirusColorado tick fever, African horse sickness, virusesRhabdoviri-daeVesiculovirusVesicular stomatitis virus, Chandipura virus